Gag reflex is lost due to paralysis of:
1. V nerve
2. VII nerve
3. IX nerve
4. XII nerve

Correct answer: 3. IX nerve